Asteroid hyalosis are composed of which of the following?
1. Iron
2. Copper
3. Calcium
4. Silica

Correct answer: 3. Calcium

Explanation: Asteroid hyalosis are composed of calcium containing phospholipids. These are multiple white round bodies which are found scattered in the vitreous gel of elderly persons. Synchysis scintillans are numerous white, crystalline shining bodies found floating in the vitreous fluid. Also know: Difference between Asteroids hyalosis and Synchysis scintillans: Asteroids hyalosis Synchysis scintillans Laterality Unilateral Bilateral Composition Calcium containing phospholipids Cholesterol crystals Symptoms Mostly symptom free Golden crystals before the eye Attachments to vitreous Adherent Free Gravity Unaffected by gravity Affected by gravity, settles at bottom State of vitreous Gel Fluid Ref: Textbook of Ophthalmology, 6th Edition By H V Nema, page 291-2